“Founder effect” describes the distribution of diseases on the basis of
1. Genetics
2. Environment
3. Occupation
4. All of the above

Correct answer: 1. Genetics